Dohle bodies are?
1. Lysosomes
2. Endoplasmic reticulum
3. Mitochondria
4. Toxis neutrophilic granules

Correct answer: 2. Endoplasmic reticulum

Explanation: Dohle bodies are light blue-gray, oval, basophilic, leukocyte inclusions located in the peripheral cytoplasm of neutrophils. They measure 1-3 um in diameter These represent rough ER and glycogen granules and are found in neutrophils. These may be seen in patients with infections, burns, trauma, pregnancy or cancer ref robbins 9th ed page 583